Among NSAIDs aspirin is unique because it:
1. Irreversibly inhibits its target enzyme
2. Reduces the risk of colon cancer
3. Reduces fever
4. Selectively inhibits COX-2 enzyme

Correct answer: 1. Irreversibly inhibits its target enzyme

Explanation: Aspirin is the only irreversible COX inhibitor. Most NSAIDs can reduce the risk of colon cancer. Selective COX-2 inhibitors like celecoxib are used to prevent risk of colon cancer in patients with familial adenomatous polyposis coli. All NSAIDs have anti-pyretic activities. Selective COX-2 inhibitors include celecoxib, etoricoxib like drugs Aspirin is non-selective COX inhibitor.